All are true about Na-K pump except
1. It needs ATP for its functioning
2. It is located on basolateral membrane of cell
3. It is electrogenic
4. It is needed for generation of action potential

Correct answer: 4. It is needed for generation of action potential

Explanation: Na-K pump is responsible for maintaining resting membrane potential and not action potential generation.